Coast of California sign is seen in -
1. Neurofibromatosis
2. Fibrous dysplasia
3. Tuberous sclerosis
4. Sturge weber syndrome

Correct answer: 1. Neurofibromatosis